The most common translocation associated with poor prognosis in patients with Multiple Myeloma is
1. t(11;14)
2. t(4;14)
3. t(14;16)
4. t(14;20)

Correct answer: 2. t(4;14)

Explanation: Answer is B (t(4;14)) The most common translocation associated with poor prognosis in patients with Multiple Myeloma is t(4;14). 'The two most common translocation seen in patients with Multiple Myeloma are t(11;14)and t(4; 14). Both these translocations occur with almost similar frequencies, however the incidence of translocation to 1;14) appears to be marginally higher. Patients with t(4; 14) fall within a poor prognosis subgroup, while those with t(11;14) have a standard risk' - The Principles of Clinical Cytogenetics Ribs (44%) > Skull(41%)> pelvis (28%)>frinur (24%) > clavicle(10%) > scapula(10%)" align="left" height="24" hspace="65" width="653">The two most common translocation seen in patients with Multiple Myeloma: The most common translocation associated with poor prognosis in patients with Multiple Myeloma is t(4;14) The most common translocation associated with standard prognosis in patients with Multiple Myeloma is t(1 1;14)